The first CT scan was manufactured by:
1. Hitachi, Japan
2. Mitsubishi, Japan
3. Electromusical instruments, England
4. General Electric, USA

Correct answer: 3. Electromusical instruments, England

Explanation: Ans. Electromusical instruments, England